Which of the following is produced by Argentaffinoma of ileum?
1. G.A.B.A
2. Serotonin
3. Epinephrine
4. Nor-epinephrine

Correct answer: 2. Serotonin

Explanation: Argentaffin cells in Carcinoid tumor produce 5HT derivatives like Serotonin. Epinephrine and Norepinephrine are produced by Chromaffin cells which are seen in Pheochromocytoma.